With reference to antibiotic resistance all of following statements are true except
1. The most common mechanism is production of neutralizing enzymes by bacteria
2. Plasmid mediated resistance is exclusively transferred vertically
3. Complete elimination of target is the mechanism by which enterococci develop resistance to vancomycin
4. Alteration of target lesions leads to development of resistance to antibiotics in Streptococcus pneumoniae

Correct answer: 2. Plasmid mediated resistance is exclusively transferred vertically

Explanation: Ans. b. Plasmid mediated resistance is exclusively transferred vertically